Hidradenoma of vulva occurs arises from
1. Apocrine glands
2. Sebaceous glands
3. Subcutaneous tissue
4. Hair follicle

Correct answer: 1. Apocrine glands

Explanation: Ans. is 'a' i.e., Apocrine glandsHidradenoma - arises from the apocrine glands ofvulva.It rarely exceeds 1 cm sizeHistologically it shows cystic spaces enclosing a papillary adenomatous massIt may undergo malignant change and thus requires excision.